Fixed drug eruptions can be seen more frequently with-
1. Penicillin
2. Sulfonamide
3. Cetrizine
4. Roxithromycin

Correct answer: 2. Sulfonamide

Explanation: Ans. is 'b' i.e., Sulfonamides Sulfonamides are frequent cause of fixed drug eruptions.